Murine Typhus is caused by
1. Rickettsia prowazekii
2. Rickettsia Conori
3. Rickettsia Typhi
4. Coxiella Burnetii

Correct answer: 3. Rickettsia Typhi

Explanation: Murine Typhus / Endemic typhus caused by R-typhi.